Kishori Shakti Yojana covers the age group of:
1. 10-15 years
2. 11-18 years
3. 15-25 years
4. None of the above

Correct answer: 2. 11-18 years

Explanation: Kishori Shakti Yojana has been implemented in 507 ICDS blocks and deals with improvement of girls in the age group of 11-18 years. Ref: Health policies and programmes in India, D.K. Taneja 11th edition page: 316